All the following are true regarding blood supply to the kidney, except
1. Stellate veins drain superficial zone
2. It is site of portosystemic anastomosis
3. The renal artery divides into five segmental arteries before entering the hilum
4. Its segmental arteries are end-arteries

Correct answer: 2. It is site of portosystemic anastomosis